True about Glasgow coma scale:
1. Includes verbal response
2. Includes papillary reflex
3. High score means poor prognosis
4. Includes measurement of intracranial pressure

Correct answer: 1. Includes verbal response

Explanation: Ans. (a) Includes verbal responseRef: Sabiston 19/epl894* High score is good prognosis* Doesn't include Pupillary reflex or ICP measurement.